Angiotensin converting enzyme inhibitors are useful in congestive heart failure as:
1. First choice drugs unless contraindicated
2. An alternative to diuretics
3. A substitute for digitalis
4. Adjuncts only in resistant cases

Correct answer: 1. First choice drugs unless contraindicated